Which of the following is the most common tumours of heart?
1. Myxoma
2. Lipoma
3. Rhabdomyoma
4. None of the above

Correct answer: 1. Myxoma

Explanation: Myxomas are the most common primary tumor of the heart in adults.They are benign neoplasms often associated with clonal abnormalities of chromosomes 12 and 17 that are thought to arise from primitive multipotent mesenchymal cells. Although they may arise in any of the four chambers, about 90% are located in the atria with a left-to-right ratio of approximately 4:1. Ref: Robbins 8th edition Chapter 2.